The ratio of concentration of drug in co-trimoxazole of trimethoprim and surfamethoxazole is:
1. 1:02
2. 1:03
3. 1:05
4. 3:01

Correct answer: 3. 1:05

Explanation: 1:05